Gerlach tonsil in waldeyer's ring is
1. Tubal tonsil
2. Palatine tonsil
3. Pharyngeal tonsil
4. Lingual tonsil

Correct answer: 1. Tubal tonsil

Explanation: Tubal tonsil is otherwise called Gerlach`s tonsil, seen towards the tubal openingWaldeyer's ring consists of - Adenoids, Palatine, Lingual, Tubal tonsils, and Lateral pharyngeal bandsRef: Hazarika; 3rd ed; Pg 436